Angle of Tip of an endodontic instrument
1. 75 + 15
2. 75 — 15
3. 75 ± 15°
4. 80°

Correct answer: 3. 75 ± 15°